Hysteroscopy means visualization of
1. Genital tract
2. Fallopian tube
3. uterine cavity
4. Cervix

Correct answer: 3. uterine cavity

Explanation: Hysteroscopy Visualization of the uterine cavity with endoscope through the cervix. It is used for diagnosis of intrauterine pathology and serves as a method for surgical intervention (operative hysteroscopy) INDICATIONS DIAGNOSTIC THERAPEUTIC Study of endocervical mucus lining Congenital malformation of uterus Endometrial tuberculosis Asherman's syndrome Misplaced IUCD Endometrial lesions and AUB Polyps Cornual tubal blockage Uterine septum resection Asherman's syndrome Embedded iucd removal Polypectomy Submucous myomectomy New technique of tubal sterilisation Tubal blockage Ref: SHAW'S TEXTBOOK OF GYNECOLOGY; 15th edition; Pg no: 495